A vasopressin analogue does not produce therapeutic effect through vasopressin V2 receptor in which of the following:-
1. Central diabetes insipidus
2. Bleeding oesophageal varices
3. Type I von Willoebrand's disease
4. Primary nocturnal enuresis

Correct answer: 2. Bleeding oesophageal varices

Explanation: In choice A and D vasopressin stimulates V2 receptors and leads to reduction in polyuria due to re-absorbtion of water the water channels. DDAVP induces vWF secretion by binding to V2R and activating cAMP-mediated signaling in endothelial cells and controls bleeding in vWD. Vasopressin exerts vasoconstrictive effect on splanchnic circulation VI receptors Receptor of vasopressin Location Action V1 G protein - coupled phoshatidyl inositol/ calcium Vascular smooth muscle, platelet, hepatocytes, myometrium Vasoconstriction, myocardial hypertrophy, platelet aggregation, glycogenolysis, uterine contraction V3 G protein -coupled, phosphatidyl inositol/calcium Anterior pituitary gland Releases ACTH, prolactin, endorphins V2 Adenyl cyclase/ cAMP Basolateral membrane of collecting duct, vascular endothelium and vascular smooth muscle cell Insertion of AQP - 2 water channels into apical membrane, induction of AQP - 2 synthesis, releases von willebrand factor and factor VIII, vasodilation